Inhibition of 5-lipoxygenase is useful in -
1. Cardiac failure
2. Bronchial asthma
3. Hepatic failure
4. Arthritis

Correct answer: 2. Bronchial asthma

Explanation: Ans. is 'b' i.e., Bronchial Asthma Lipoxygenase acts on Arachidonic acid to release leukotrienes which are important inflammatory mediators. They are respnsible for the bronchospasm during asthma attack. o So as obvious any drug which inhibits 5 lipoxygenase will prevent the formation of Leukotrienes and will be useful in the tit of Asthma.